A 36-year-old man dies during cardiac surgery. He had a history of long-standing rheumatic heart disease with mitral stenosis. At autopsy, the pathologist reports findings consistent with mitral stenosis and noted the presence of "heart failure cells." This finding results from
1. activation of the coagulation cascade.
2. chronic passive congestion of the lungs.
3. hypoxic myocardial injury.
4. myocardial hyperemia.

Correct answer: 2. chronic passive congestion of the lungs.

Explanation: "Heart failure cells" are intra-alveolar hemosiderin-laden macrophages They are indicative of marked chronic passive congestion of the lung. Red cells leak from congested alveolar capillaries into the alveoli, where they are engulfed and degraded by macrophages.